Pain in early labor is limited to dermatomes
1. T10 - L1
2. S1- S3
3. L4- L5
4. L2- L3

Correct answer: 1. T10 - L1

Explanation: In early stages of labor pain is mainly uterine in origin . Distributed along the cutaneous nerve distribution T10 - L1 In later stages pain is due to dilatation of cervix referred to back through sacral plexus